Most common cause of death in chronic dialysis patient is:
1. Cardiovascular Disease
2. Infection
3. Malignancy
4. Anemia

Correct answer: 1. Cardiovascular Disease

Explanation: Answer is A (Cardiovascular Disease): The most common cause of death in patients on chronic dialysis is Cardiovascular Disease. After cardiovascular disease, infections are the second most common cause of death of patients receiving long-term dialysis. Cardiovascular disease is the most common cause of death among patients with chronic kidney disease (ESRD) Cardiovascular disease is the most common cause of death in patients requiring renal replacement therapy (RR T) Cardiovascular disease is the most common cause of death among patients receiving long-term dialysis Infection is the most common cause of death in patients dialyzed for acute renal failure.